SSPE is a complication of ?
1. Mumps
2. Diphtheria
3. Measles
4. Pertussis

Correct answer: 3. Measles

Explanation: Ans. is 'c' i.e., Measles